Topical immunomodulator used for the treatment of genital warts is :
1. Imiquimod
2. Podophyllin
3. Interferon
4. Acyclovir

Correct answer: 1. Imiquimod

Explanation: Drugs used for viral warts (condyloma acuminata) are

Imiquimod: It is an immune response modifier, useful in the treatment of external genital and peri-anal warts topically. Mechanism of action against these HPV-induced lesions is unknown. 5% cream is applied 3 times weekly and washed off 6-10 hours after each application. Recurrences appear to be less common than with ablative therapies. Local skin reactions and pigmentary skin lesions are the important side effects.
Resiquimod is another immunomodulator, which is used topically for HSV.
Podophyllin acts by inhibiting the polymerization of tubulin monomers in the mitotic spindle.
Interferon α-2b may be used intralesional for condyloma acuminata.
Acyclovir is used for HSV-1, HSV-2 and varicella zoster virus. It is not useful for CMV infections.